In Schwann cells, mycobacterium leprae divide in how many days?
1. 2 - 3 days
2. 11 - 13 days
3. 22 - 23 days
4. 32 - 33 days

Correct answer: 2. 11 - 13 days